What is not true about point source epidemic ?
1. Plateau phase
2. No secondary waves
3. Explosive epidemic
4. Only one peak

Correct answer: 1. Plateau phase